Which is non-lymphatic filariasis?
1. Loa loa
2. Wuchereria bancrofti
3. Brugia malayi
4. Brugia timori

Correct answer: 1. Loa loa

Explanation: Ans. is 'a' i.e., Loa Loa(Ref: Harrison, 17th/e, p. 1324; 6th/e, p. 196)I. Lymphatic filariasisII. Subcutaneous filariasisIII. Serous cavity filariasis* W. Bancrofti* Loa Loa* M. Ozzardi* B. Malayi* Onchocerca volvulus* M. perstans* B. timori* Mansonella streptocerca